A middle aged man presents with progressive atrophy and weakness of hands and forearms. On examination he is found to have slight spasticity of the legs, generalized hyper-reflexia and increased signal in the cortico-spinal tracts on T2 weighted MRI. The most likely diagnosis is -
1. Multiple selerosis
2. Amyotrophic latetal sclerosis
3. Subacute combined degeneration
4. Progressive spinal muscular atrophy

Correct answer: 2. Amyotrophic latetal sclerosis